Which is the main contraindication for a liver biopsy?
1. Hepatitis
2. Coagulopathy
3. Chronic Alcoholic
4. Associated cholcystitis

Correct answer: 2. Coagulopathy

Explanation: Ans. is 'b' i.e., Coagulopathy Liver Biopsyo Liver Biopsy can be taken# Percutaneously# Via a blood vessel# Throught he abdomen during surgeryo Indications# Estimation of hepatic damage in chronic viral hepatitis# Hemochromatosis# Tuberculosis# Undiagnosed metastasiso Coagulation anomalies is the chief contraindication as disastrous bleeding can occur.